True about iron deficiency anemia – a) Microcytic hypochromic anemiab) Decreased TIBCc) Increased ferritind) Bone marrow iron decreased earlier than serum iron
1. b
2. ad
3. ac
4. ab

Correct answer: 2. ad

Explanation: Characteristics of anemia of iron deficiency
Blood picture

Microcytic                                o Ring / pessary cells          o Target cells (unusual)
Hypochromic                          o Poikilocytosis
one marrow
Hypercellular marrow            o Erythroid hyperplasia o Depleted bone marrow iron Parameters
S. Ferritin                                  -->           Reduced                o Serum transferrin receptors            Increased
S. iron                                        -->           Reduced                o Red cell protoporphyrin           --> Increased


Total iron binding capacity  —>         Increased                o Hepcidin level               -->                  Increased
Percentage saturation            --->          Decreased-

In iron deficiency anemia, bone marrow iron decreases earliar than serum iron.